A 30 year old male with NIDDM has a blood pressure of 150/90. His urine examination reveals persistent albuminuria in traces. The most appropriated line of treatment would be -
1. Non treatment
2. Regular examination of urine and monitoring of blood sugar
3. Administering lisinopril and restriction of sodium
4. Restriction of sodium only

Correct answer: 3. Administering lisinopril and restriction of sodium

Explanation: Lisinopril is an ACE inhibitor . ACE stands for angiotensin converting enzyme.Lisinopril is used to treat hypertension in adults and children who are at least 6 years old. It is also used to treat congestive heart failure in adults, or to improve survival after a heart attack . A reduction in dietary salt from the current intake of 9-12 g/day to the recommended level of less than 5-6 g/day will have major beneficial effects on cardiovascular health along with major healthcare cost savings around the world. The World Health Organization (WHO) strongly recommended to reduce dietary salt intake as one of the top priority actions to tackle the global non-communicable disease crisis and has urged member nations to take action to reduce population wide dietary salt intake to decrease the number of deaths from hypertension, cardiovascular disease and stroke . Ref - pubmed.com